Tennis racket appearance is a feature of:
1. Odontogenic keratocyst.
2. Odontogenic myxoma.
3. CGCG.
4. Aneurysmal bone cyst.

Correct answer: 2. Odontogenic myxoma.